Most common cause of ruheosis iridis ?
1. Tumor
2. CRAO
3. Radiation retinopathy
4. Diabetic retinopathy

Correct answer: 4. Diabetic retinopathy

Explanation: Ans. is 'd' i.e., Diabetic retinopathy Causes of rubeosis iridis (neovascularization of iris) Common :- Diabetic retinopathy (most common cause), central retinal vein occlusion, Eale's disease, sickle-cell retinopathy. Rare causes :- Long standing retinal detachment, central retinal artery occlusion, intraocular inflammation (uveitis), intraocular tumors (choroidal melanoma, retinoblastoma), radiation retinopathy, ocular ischemic syndrome (carotid artery disease, carotid-cavernous fistula).